Slit shaped nipple seen in -
1. Duct ectasia
2. Duct papilloma
3. Paget's disease
4. CA breast

Correct answer: 1. Duct ectasia

Explanation: Ans. is 'A' i.e., Duct ectasia o Duct ectasia is dilatation of lactiferous ducts associated with periductal inflammation, the pathogenesis of which is unknown. o Chronic inflammation around the major ducts, possibly due to autoimmune basis may be the first event, leading eventually to ductal dilatation. One other mechanism may be duct blockage. Duct ectasia is more common in parous women, who are breast feeding their baby, than in nulliparous or parous who are not feeding their baby. Inverted nipple may also cause duct blockage and subsequent duct ectasia.